The state with the lowest IMR as per SRS 2017 is:
1. Kerala
2. Goa
3. Assam
4. Sikkim

Correct answer: 2. Goa

Explanation: Ans. B. GoaThere is a wide variation in morbidity and mortality pattern of different regions in India. Goa has the lowest IMR of 8 followed by Kerala and Pondicherry with a IMR of 10.